All of the following statements about Pseudohypoparathyroidism are true, except -
1. ↓Serum PTH
2. ↓ Serum calcium
3. ↑ Serum phosphate
4. Albright's hereditary osteodystrophy

Correct answer: 1. ↓Serum PTH